True statement regarding Dressler's Syndrome
1. Usually occurs 1-4 days after Ml
2. Occurs in 10% of patients with acute Ml
3. Treatment of choice is aspirin
4. Complication of early Pericarditis

Correct answer: 3. Treatment of choice is aspirin

Explanation: Early Pericarditis Late Pericarditis (Dressler's Syndrome) 10% of patients with acute Ml. Risk factors: Transmural Ml Symptoms: Worsening of pain while supine, radiation of pain to the trapezius ridge. Physical exam: Pericardial friction rub. Diagnosis: ECG may show evidence of pericarditis; echo may show pericardial effusion Treatment: Aspirin. Avoid NSAIDs and corticosteroids (may interfere with healing of infarcted myocardium) 1-3% of patients with acute Ml. secondary to immune-medicated injury. Timing: Usually occurs 1-8 weeks after Ml. Physical exam: Pericardial rub, fever. Diagnosis: ECG may show evidence of pericarditis; echocardiography may show pericardial effusion Treatment: Aspirin. If > 4 weeks since Ml, can use NSAIDs or corticosteroids